Who developed the complete pulpectomy technique for primary molars?
1. Pinkham
2. Starkey
3. McDonald
4. Finn

Correct answer: 2. Starkey

Explanation: Starkey developed the complete pulpectomy technique for primary molars.